Sperm after formation is stored in
1. Sertoli cells
2. Epididymis
3. Rete testes
4. Seminal vesicle

Correct answer: 2. Epididymis

Explanation: epididymus - The epididymis is an organ made up of highly coiled tube that act as reservoir of spermatozoa. Parts of epididymus : Its upper end is called the head. The head is enlarged and is connected to the upper pole of the testis by efferent ductules. The middle part is called the body. The lower part is called the tail. The head is made up of highly coiled efferent ductules. The body and tail are made up of a single duct, the duct of the epididymis which is highly coiled on itself. At the lower end of the tail this duct becomes continuous with the ductus deferens. Ref : B D Chaurasia's Human Anatomy , seventh edition ,volume 2 , pg.no. 248